Crura of penis is supplied by ?
1. Dorsal artery of penis
2. Deep artery of penis
3. External pudendal artery
4. Obturator artery

Correct answer: 2. Deep artery of penis

Explanation: Ans. is 'b' i.e., Deep artery of penisInternal pudendal artery on each side enters the deep perineal pouch and passes forward, giving rise to :-i) Artery to the bulp of penis.ii) Arteries to crura of the penis (deep artery of penis).iii) Dorsal artery of penis which suppies the skin and fascia of penis.